Which of the following fluoroquinolones does not require dose adjustment in a patient with creatinine clearance of < 50 mg/min ?
1. Ciprofloxacin
2. Trovafloxacin
3. Lomefloxacin
4. Sparfloxacin

Correct answer: 2. Trovafloxacin